Paterson-Kelly syndrome is associated with the following deficiency:
1. Iron
2. Zinc
3. Magnesium
4. Molybdenum

Correct answer: 1. Iron

Explanation: In long-standing iron deficiency, mucosal atrophy of laryngopharynx may lead to web formation in the postcricoid region, thereby giving rise to dysphagia (Paterson-Kelly also known as Plummer-Vinson syndrome). It is also associated with koilonychia, angular stomatitis, and a sore tongue. If these alterations are of long duration, they may lead to pharyngeal carcinoma. Ref: Beutler E. (2010). Chapter 42. Disorders of Iron Metabolism. In J.T. Prchal, K. Kaushansky, M.A. Lichtman, T.J. Kipps, U. Seligsohn (Eds), Williams Hematology, 8e.